Commonest site of the simple bone cyst is
1. Upper end of femur
2. Lower end of femur
3. Upper end of humerus
4. Lower end of humerus

Correct answer: 3. Upper end of humerus

Explanation: (Upper end of humerus) (180- Abley's 8th)* Simple bone cyst - commonest being the upper end of the humerus* Spine is commonest site of the osseous haemangioma* Commonest site of Giant cell tumour - Distal femur, proximal tibia, proximal humerus and distal radius* Commonest site of osteogenic sarcoma - Lower end of the femur, upper end of the tibia and upper end of the humerus* Commonest site of Ewing's sarcoma - usually in a tubular bone and especially in the Tibia, Fibula or clavicle* Ewing *s tumour is the commonest malignant tumour of flat bone, which has multi-centric origin* Aneurysmal bone cyst - Tibia, Humerus